False about paraduodenal hernia:
1. Congenital
2. Found in fossa of Kolb
3. Found in fossa of Landzert
4. Common in right side

Correct answer: 4. Common in right side

Explanation: Ans: D (Common in right side) Para Duodenal Hernia# It is the most common type of internal abdominal hernias accounting for half of reported cases.# They are basically congentiai in origin representing enterapment of small intestine beneath the mesentery of colon probably occurring due to abnormal embryologic rotation of midgut and variation in peritoneal fixation and vascular folds.# Herniation into the left paraduodenal fossa (fossa of Landzert) occurs more frequently them herniation into the right fossa (fossa of Kolb) # Clinical features: majority of presentations occur between the 4th and 5th decades of life.* Presentation quite variable varying from mild abdominal cramps or occasional vomiting to acute intestinal obstruction.* Postprandial pain with postural variation is a characteristic symptom* Inferior mesenteric vein compression in left paraduodenal hernias may lead to haemorrhoids# The left Para duodena} fossa of Landzerd' present in 2% of autopsy cases is situated to the left of ascending of fourth part of the duodenum and is caused by the raising up of a peritoneal fold by the inferior mesenteric vein as it runs along the lateral side of fossa and then above it.# The tight para duodenal fossa of Wald ever is present in 1% of autopsy cases. It is situated within the first part of mesentery of jejunum, immediately behind the superior mesenteric artery and inferior to transverse duodenum.* Treatment for the duodenal hernia is based on reduction of the hernia sac and closure of the defect or incision of the hernia sac.